Subjective test of hearing is?
1. Pure tone audiometry
2. Oto acoustic emission
3. BERA
4. Impedence audiometry

Correct answer: 1. Pure tone audiometry

Explanation: ANSWER; (A) Pure tone audiometryREF: Achars Textbook of Pediatrics (4th Edn) by Swama Rekha Bhat p: 612, Nelson's pediatrics 18th ed ch: 636Subjective testsObjectives testsBirth -5months : behavoria! tests without rein - forcement6months -30months: visual reinforcement audiometry30 months - 5 years: play audiometry> 5yrs: speech tests> 5yrs: pure tone audiometry> 5yrs: pure tone audiometryOtoacoustic emissions: low specificity and takesaround 12 minstympanometryBERA: high specificity , takes around 21 mins Impedence audiometry Acoustic reflectometryChild s cooperating is needed for subjective tests.